2 out of 3 family members had dinner at a local restaurant and within 48 hours, experienced double vision ,difficulty in swallowing ,speaking and breathing problems. These symptoms are consistent with which of the following?
1. Activation of cyclic AMP
2. Endotoxin shock
3. Ingestion of a neurotoxin
4. Invasion of the gut epithelium by an organism

Correct answer: 3. Ingestion of a neurotoxin

Explanation: Ingestion of a neurotoxin is responsible for the above symptoms. Option 1 Activation of cyclic AMP causes Diarrhea. Option 2 This clinical condition is not associated with Endotoxin shock. It's a case of food poisioning. Option 3 Food poisoning Ingestion of preformed toxins in food contaminated with C. botulinum. Severity of illness- Mild to a very serious disease resulting in death within 24 hours. Incubation Period-12 to 36 hours after ingestion of the contaminated food. Clostridium botulinum produces a potent neurotoxin that causes diplopia, dysphagia, respiratory paralysis, and speech difficulties when ingested by humans.The disease progresses to flaccid paralysis. Fever, typically is absent. Blocking the action of acetylcholine at neuromuscular junctions. Option 4 Invasion of the gut epithelium by an organism doesn't cause these symptoms.